What is the partial pressure for carbon-di-oxide in the inspired air?
1. 0.3 mm Hg
2. 158 mm Hg
3. 100 mm Hg
4. 32 mm Hg

Correct answer: 1. 0.3 mm Hg

Explanation: Partial pressure of CO2 in inspired air (Pi CO2) - 0.3 mm Hg Carbon-di-oxide: Partial pressure of CO2 in inspired air (Pi CO2) 0.3 mm Hg Partial pressure of CO2 in alveolar blood (PA CO2) 40 mm Hg Partial pressure of CO2 in expired air (PE CO2) 32 mm Hg.